Pagets disease of the nipple is
1. Infection
2. Dermatitis
3. Neoplasia
4. Hypopigmentation

Correct answer: 3. Neoplasia

Explanation: Refer Robbins page no 1057 Paget disease of the nipple is a rare manifestation of Breast cancer that presents as a lateral erythematous eruption with a scale crust.